Acutegraft versus host disease reaction occurs in all except
1. Liver
2. Adrenal
3. Gut
4. Skin

Correct answer: 2. Adrenal

Explanation: Ref Robbins 9/re p236; 8/e p 230 Acute Rejection Acute rejection may occur within days to weeks of transplan- tation in a nonimmunosuppressed host or may appear months or even years later, even in the presence of adequate immunosuppression. Acute rejection is caused by both cel- lular and humoral immune mechanisms, and in any one patient, one or the other may predominate, or both may be present. On histologic examination, cellular rejection is marked by an interstitial mononuclear cell infiltrate with asso- ciated edema and parenchymal injury, whereas humoral rejection is associated with vasculitis. It occurs in adrenal grafts